Ca urinary bladder commonly presents as ?
1. Haematuria
2. Frequency
3. Dysuria
4. Abdominal lump

Correct answer: 1. Haematuria

Explanation: Ans is 'a' ie haematuria